A pt with an Hb of 6, WBC count of 2000, has a normal Different count except for having 6% blasts; platelets are reduced to 80,000; moderate splenomegaly is present; possible diagnosis is -
1. Leukemia
2. Aplastic anemia
3. Hemolysis
4. ITP

Correct answer: 1. Leukemia